G-CSF and GMCSF in haematopoisis causes :
1. Leucocytosis
2. Erythrocytosis
3. Leucopenia
4. Thrombocytosis

Correct answer: 1. Leucocytosis

Explanation: A i.e. Leucocytosis